Schaumann bodies are seen in
1. Sarcoidosis
2. Chronic bronchitis
3. Asthma
4. Syphilis

Correct answer: 1. Sarcoidosis